Which of the following ion plays role in exocytosis?
1. Sodium
2. Potassium
3. Calcium
4. Magnesium

Correct answer: 3. Calcium

Explanation: Exocytosis For exocytosis to occur, the vesicle containing neurotransmitter must fuse with pre-synaptic membrane - Vesicle membrane is negatively changed & also the cell is negatively charged. Therefore for this fusion to occur a bridge should be formed & a cation can form this bridges. that cation is Ca2+ - Exocytosis, in most cases, is stimulated by the entry of calcium ions into the cell: Calcium ions interact with vesicular membrane in some way that is not understood and its fusion with the cell membrane followed by exocytosis - That is opening of the membrane's outer surface and extrusion of its contents outside the cell.